Toxic megacolon is most commonly associated with
1. Ulcerative colitis
2. Crohn's disease
3. Whipple's disease
4. Reiter's disease

Correct answer: 1. Ulcerative colitis

Explanation: inflammation and inflammatory mediators can damage the muscularis propria and disturb neuromuscular function leading to colonic dilation and toxic megacolon TEXT BOOK OF ROBBINS BASIC PATHOLOGY NINTH EDITION PAGE.590-591